All are principles of primary health care except –
1. Intersectoral coordination
2. Community participation
3. Appropriate technology
4. Decentralised approach

Correct answer: 4. Decentralised approach

Explanation: There are 4 main principles of primary health care :


Equitable distribution
Community participation
Intersectorial coordination
Appropriate technology